All the following statements are true regarding methyl alcohol poisoning except
1. It is characterized by high anion gapacidosis
2. It causes ocular toxicity
3. It causes high osmolal gap
4. Concurrent ethanol ingestion worsens the clinical features

Correct answer: 4. Concurrent ethanol ingestion worsens the clinical features

Explanation: The ingestion of methanol (wood alcohol) causes metabolic acidosisIts metabolites formaldehyde and formic acid cause severe optic nerve and CNS damageLactic acid, ketoacids, and other unidentified organic acids may contribute to the acidosisDue to its low molecular weight, an osmolar gap is usually presentEthanol is used in the treatment of methanol poisoningRef: Harrison's 18/e p366, Tripathi 6/e p387, Davidson's 20/e p219